Which of the following occurs during glycolysis?
1. Glucose is reduced to pyruvate in the cytosol of all cells.
2. The rate-limiting step is the formation of fructose-6-phosphate.
3. Glucose is phosphorylated by aldolase.
4. Pyruvate, NADH, and ATP are produced.

Correct answer: 4. Pyruvate, NADH, and ATP are produced.

Explanation: In virtually all cells of the body, glycolysis is the primary pathway for carbohydrate catabolism. During glycolysis, glucose undergoes oxidation to form pyruvate, NADH, and ATP. The initial reaction of glycolysis involves phosphorylation of glucose to glucose-6-phosphate the enzyme hexokinase (glucokinase in liver). The first committed step involves the phosphorylation of fructose-6-phosphate to fructose-1,6-diphosphate by phosphofructokinase (PFK). The reactions catalyzed by hexokinase and PFK are two of three irreversible reactions occurring in glycolysis. The other irreversible reaction involves pyruvate kinase. In terms of the energetics of the reactants and products, it is important to remember that every intermediate in this pathway between glucose and pyruvate contains phosphate. Ref: Bender D.A., Mayes P.A. (2011). Chapter 18. Glycolysis & the Oxidation of Pyruvate. In D.A. Bender, K.M. Botham, P.A. Weil, P.J. Kennelly, R.K. Murray, V.W. Rodwell (Eds), Harper's Illustrated Biochemistry, 29e.